Cubitus varus deformity is result from
1. Malunited supracondylar fracture humerus
2. Malunited lateral condyle fracture humerus
3. Fracture dislocation of elbow joints
4. Malunited capitullum fracture

Correct answer: 1. Malunited supracondylar fracture humerus

Explanation: A. i.e. (Malunited supracondylar fracture humerus) (599 - Apley 8th)* Malunion is the commonest complication of supracondylar fracture and results in a cubitus varus deformity (Gun - stock deformity). This is because the fracture unites with the distal fragment tilted medially and in internal rotation.* Cubitus valgus - deformity results from fracture lateral condyl of humerus. This may result in late ulnar nerve palsy (Tardy ulnar nerve palsy)